Best screening marker of prostate cancer is
1. a - feto protein
2. Prostate specific antigen
3. CA-19-20
4. CA-125-26

Correct answer: 2. Prostate specific antigen

Explanation: B. i.e. (Prostate - specific antigen) (1045 - CSDT 12th)* Combination of digital rectal examination and serum PSA monitoring is the most effective screening protocol* AFP is elevated in 70% of patients with non seminomatous testicular cancer but is not elevated in patients with seminoma *** AFP| in - Hepatocellular CA, Gonadal germ cell tumour, cirrhosis. Hepatitis* Finding of a PSA > 10 nmol/ml is suggestive of cancer and > 35 ngml is almost diagnostic of advanced prostate cancer. A decrease in PSA to the normal range following hormonal ablation is a good prognostic sign* Trans rectal ultrasonogram in evaluation of carcinoma prostate most useful for - Taking guided biopsy*** CA of prostate arise from peripheral zone** and BPH from Transition zones**